Most common epileptic encephalopathy to present in infancy is:
1. Lennox Gastaut syndorme
2. West syndrome
3. Ohtahara syndrome
4. Rasmussen syndrome

Correct answer: 2. West syndrome

Explanation: - West syndrome is most common epileptic encephalopathy in infancy. - Almost any type of brain insult in early life can lead to this syndrome - West syndrome usually begins between the ages of 2-12 months & consists of a triad of Infantile spasms Psychomotor regression and Hypsarrhythmia on EEG.